Trichology is the study of:
1. Hair
2. Nail
3. Skin
4. Bones

Correct answer: 1. Hair

Explanation: Ans: a (Hair) Ref: Reddy, 27th ed, p. 84Trichology is the study of hair.NoteThanatology: Study of death in all aspects.Cheiloscopy: Study of lip markings for identification.Poroscopy: Study of microscopic pores present in the ridges of fingers.Dactylography: Study of finger prints.